A 22 years old female underwent suction evacuation for molar pregnancy. Beta HCG levels are persistently high following evacuation. The next line of management is:
1. Follow up at 1 year
2. Monitor until HCG becomes 0
3. Hysterectomy
4. Methotrexate

Correct answer: 4. Methotrexate

Explanation: Ans. is d, i.e. MethotrexatePersistently raised bhCG levels after H mole evacuation indicate the patient may develop GTN, and is an indication for Prophylactic methotrexate therapy.